Which of the following is the most common fixative used in electron microscopy?
1. Glutaraldehyde
2. Formalin
3. Picric acid
4. Absolute alcohol

Correct answer: 1. Glutaraldehyde

Explanation: Commonest fixative used for light microscopic examination: 10% buffered neutral formalin. Commonest fixative used for electron microscopic examination: Glutaraldehyde.